Softening of the cervix during pregnancy is called as?
1. Goodell's sign
2. Jacquemier's sign
3. Chadwick's sign
4. Piskacek's sign

Correct answer: 1. Goodell's sign

Explanation: Ans is 'a' i.e., Goodell's sign Various signs in pregnancy Cervical signsa) Goodell's sign : Cervix becomes soft at 6th weeks, a little earlier in multipara.b) On per speculam examination, bluish disclouration of cervix.Vaginal Signs:a) Jacquemier's sign or Chadwick's sign: Dusky hue of the vestibule & anterior vaginal wall visible at about 8th week of pregnancy.b) Apart bluish discolouration of anterior vaginal walls they become softened.c) Copious non-irritating mucoid discharge appears at 6th week.d) Osliender's sign : There is increased pulsation, felt through the lateral fomices at 8th week.Uterine signs:a) Size shape and consistency - the uterus is enlarged to size of hen's egg at 6th week, size of cricket ball at 8th week and size of fetla head at 12th week. Normal pyriform shape of the uterus becomes globular at 12th week.b) Piskacek9 sign : one half of the uterus is more firm than other half due to lateral implantation.c) Pregnant uterus is soft and elastic.d) Hegar's sign : Present in 2/3 rd of cases. Demonstrated between 6-10 weeks, a little earlier in multipara. This sign is based on the 2 facts (1) upper part of the body of uterus is enlarged by growing uterus and lower part is empty and soft and cervix is comparatively firm. Therefore on bimanual examination (2 fingers in the anterior fornix and abdominal fingers behind the uterus), abdominal and vaginal fingers seem to appose below the body of the uterus.e) Palmer sign : Regular and rhythmic contractions can be elicited during bimanual examination as early as 4-8 weeks.